Most reliable test for spinal tuberculosis
1. Raised ESR
2. PPD skin test
3. CT guided biopsy
4. MRI

Correct answer: 3. CT guided biopsy

Explanation: Ans. c. CT guided biopsy